Which of the following amino acids in a protein commonly acts as a potential O-Glycosylation site for attachment of an oligosaccharide unit -
1. Glutamine
2. Cysteine
3. Serine
4. Asparagine

Correct answer: 3. Serine

Explanation: O-glycosylation:- Addition of oligosaccharide to hydroxyl chain of serine or threonine.
N-glycosylation:- Addition of oligosaccharide to the amide nitrogen of asparagine.